Double apical impulse is seen in -
1. MR
2. AR
3. AS
4. MS

Correct answer: 3. AS